Rahul had a fight with a neighbor and he assaulted him. There was no injury, still he can be booked under:
1. Sec. 44 IPC
2. Sec. 351 IPC
3. Sec. 319 IPC
4. Sec. 320 IPC

Correct answer: 2. Sec. 351 IPC

Explanation: Ans. Sec. 351 IPC